Mechanism of action of Theophylline in bronchial asthma
1. Phosphodiestesrase 4 inhibition
2. Beta 2 agonism
3. Antichoinergic action
4. Inhibition of mucociliary clearance

Correct answer: 1. Phosphodiestesrase 4 inhibition

Explanation: Refer Katzung 11/e p 345 Theophylline is used in bronchial asthma. It's mechanise of action is Inhibition of phosphodiestesrase particularly PDE-4 Antagonism of adenosine receptors Enhancement for histone deacetylation